All are parts of MEN-1 except
1. Pituatory tumor
2. Parathyroid tumor
3. Pancreatic tumor
4. Medullary carcinoma of thyroid

Correct answer: 4. Medullary carcinoma of thyroid

Explanation: Refer Robbins page no 1136